Which among the following is the most common fatal primary blast injury?
1. Abdominal injuries
2. Brain injury
3. Pulmonary barotrauma
4. Vascular Injury

Correct answer: 3. Pulmonary barotrauma

Explanation: The lung is very susceptible to primary blast injury. Pulmonary barotrauma is the most common fatal primary blast injury, and the most common critical injury in people close to the blast center. Pressure differentials across the alveolar-capillary interface can cause disruption, hemorrhage, pulmonary contusion, pneumothorax, hemothorax, pneumomediastinum, and subcutaneous emphysema. Air embolism is another well-recognized consequence of blast lung injury. It is one of the major factors leading to cardiac dysfunction and immediate death after blast wave exposure. Ref: Halpern P. (2011). Chapter 8. Bomb, Blast, and Crush Injuries. In J.E. Tintinalli, J.S. Stapczynski, D.M. Cline, O.J. Ma, R.K. Cydulka, G.D. Meckler (Eds), Tintinalli's Emergency Medicine: A Comprehensive Study Guide, 7e.